High tracheotomy is done in
1. Vocal cord palsy
2. Laryngeal carcinoma
3. Subglottic stenosis
4. Laryng omalacia

Correct answer: 2. Laryngeal carcinoma

Explanation: Only indication for high tracheostomy - Laryngeal carcinoma.